The fluoride concentration in 8% stannous fluoride, topical application, is
1. 1000 ppm
2. 9200 ppm
3. 19500 ppm
4. 12300 ppm

Correct answer: 3. 19500 ppm